Crura of Penis is supplied by
1. Dorsal artery of penis
2. Deep artery of penis
3. External pudendal artery
4. Obturator artery

Correct answer: 2. Deep artery of penis

Explanation: Dorsal artery of penis supplies the skin and fascia.
Deep artery of penis supplies the crura.